Most common site of Morgagni Hernia is:
1. Left Anterior
2. Right posterior
3. Right Anterior
4. Left posterior

Correct answer: 3. Right Anterior

Explanation: C i.e. Right anterior